Not a Radioprotector
1. Amifostine
2. IL-1
3. GM-CSF
4. BUDR

Correct answer: 4. BUDR

Explanation: BUDR is a Non-hypoxic cell Radiosensitizer.